Primary Resistance form is that shape of cavity which:
1. Prevents displacement of restoration
2. Permits the restoration to withstand occlusal forces
3. Allows adequate instrumentation
4. Allows the restoration to withstand occlusal forces and prevent displacement

Correct answer: 2. Permits the restoration to withstand occlusal forces